Bile acids are synthesized from
1. Cholesterol
2. Amino acids
3. Bilirubin
4. Protein

Correct answer: 1. Cholesterol

Explanation: Bile is a digestive juice formed continuously in liver. Bile contains organic substances like bile salts which are formed when conjugated bile acids combine with Na/K. Bile acids are of two types: Primary bile acids are choilc acid & chenodeoxycholic acid.These are synthesized by hepatocytes from cholesterol. Secondary bile acids are deoxycholic acid & lithocholic acid. These are formed from the primary bile acids in the colon by the action of intestinal bacteria.Ref: Medical Physiology, Indu Khurana